Which of the following drugs causes osteoporosis on long term use:
1. Etidronate
2. Prednisolone
3. Phenytoin
4. Calcitriol

Correct answer: 2. Prednisolone

Explanation: Ans. (B) Prednisolone(Ref: KDT 8/e p318)* Etidronate and phenytoin cause osteomalacia whereas calcitriol is used in treatment of osteoporosis.